When pronation of the foot occurs, axes of which joints move in parallel direction?
1. Talonavicular- Calcaneocuboid
2. Calcaneocuboid-Subtalar
3. Talocrural-Subtalar
4. Midtarsal-Tarsometatarsal

Correct answer: 1. Talonavicular- Calcaneocuboid

Explanation: Ans. a. Talonavicular-Calcaneocuboid (Ref: www.vasylimedical.com/pdf/VasyliMedical%20Pronation.pdf)When pronation of the foot occurs, axes of Talonavicular- Calcaneocuboid joints move in parallel direction.'An explanation of the concept of 'unlocking' the foot has been described by Root, Orien and Weed, although the exact mechanism is still unknown. The mid-tarsal joint comprises the talo-navicular joint (longitudinal axis) and the calcaneo-cuboid joint (oblique axis). When the subtalar joint is in neutral these two axis are relatively divergent. However, as the subtalar joint pronates, these two axis become parallel.'-www.vasylimedical.com/pdf/ VasvliMedicai%20Pronation.pdf